Which of the following serum value is not in or of a diagnosis of PCOS?
1. Elevated LH
2. Rise in oestrone/estradiol level
3. Reduced SHBG level
4. Reduced serum fasting insulin level

Correct answer: 4. Reduced serum fasting insulin level

Explanation: The polycystic ovarian disease is a heterogeneous, multisystem endocrinopathy in women of reproductive age.Endocrinological changes are as follows:1. Oestrone/E2 level rises.2. LH level is raised over 10 IU/mL. FSH level remains normal, but FSH/LH ratio falls.3. SHBG level falls due to hyperandrogenism.4. Testosterone and epi-androstenedione levels rise.5. Fasting blood glucose/fasting insulin, 4.5 suggests insulin resistance.6. Triglyceride level >150 mg/dL-hyperlipidaemia HDL < 50 mg/dL. Testosterone > 2 ng/mL, free T > 2.2 pg/mL (Normal level 0.2-0.8 ng/mL). Normal androstenedione level is 1.3-1.5 ng/mL. DHEA > 700 ng/mL suggests an adrenal tumor.7. Prolactin is mildly raised in 15% cases.8. Fasting insulin is more than 10 mIU/L in PCOS in 50-70/cases.9. Thyroid function tests may be abnormal (hypothyroidism).10. 17-a-hydroxyprogesterone in the follicular phase > 300 ng/dL suggests adrenal hyperplasia due to 21-hydroxylase deficiency.11. Urinary cortisol < 50 mg/24 h.Ref: Shaw's textbook of gynecology; 16th edition; Page no: 432